True about joint involvement in hemochromatosis are all except
1. Progressive after phlebotomy
2. Involvement 2nd & 3rd MCP joints on X-ray
3. Chondrocalcinosis is not a feature
4. Non-inflammatory changes

Correct answer: 3. Chondrocalcinosis is not a feature

Explanation: Answer- C. Chondrocalcinosis is not a featureThe arthropathy of hemochromatosis is a chronic progressive noninflammatory arthropathy.A Predilection for disease in the second and third MCP joints is notable, and enlargement of these joints is readily seen in the fingers when they are extended to form a V, as in the victory sign.Arthropathy often does not improve after iron depletion therapy (phlebotomy), and persistence of joint symptoms is often detrimental to patients quality of life.